A 2 year old child presents with scattered lesions in the skull. Biopsy revealed Langerhans giant cells. The most commonly associated marker with this condition will be
1. CD 1a
2. CD 57
3. CD 3
4. CD 68

Correct answer: 1. CD 1a